Radial arteries bifurcate at which junction in uterine body
1. At junction of uterus and cervix.
2. At endometrium - myometrium junction.
3. At junction of uterus and fallopian tube.
4. At cervico - vaginal junction.

Correct answer: 2. At endometrium - myometrium junction.

Explanation: Radial arteries bifurcate at endometrium-myometrium junction to create basal and spiral arteries.